Which bag among the following shouldn’t be incinerated as it contains cadmium?
1. Blue
2. Red
3. Black
4. Yellow

Correct answer: 2. Red